Incubation period less than few hours
1. Food poisoning
2. Hepatitis A
3. Influenza
4. Rabies

Correct answer: 1. Food poisoning

Explanation: Incubation period of food poisonings:
Food poisoning - Incubation period
Salmonella - 12 – 24 hours
Staphylococcal - 1 – 6 hours
Botulism - 12 – 36 hours 
Cl. perfirengens - 6 – 24 hours
B. cereus (emetic form) - 1 – 6 hours
B. cereus (diarrhoel form) - 12 – 24 hours